Point A in radiotherapy for Ca cervix corresponds to
1. Lateral pelvic lymph nodes
2. Urinary bladder
3. Rectum
4. Uterine vessel crossing ureter

Correct answer: 4. Uterine vessel crossing ureter

Explanation: Manchester-Point A SystemThe Manchester System was designed for use with LDR radium brachytherapy. It is the most commonly used technique. Point A - Representing the paracervical triangle (where the uterine artery crosses the ureter). This is the commonly reported dose point. The position has varied several times, but the most modern definition is 2 cm along the most inferior source within the tandem (alternatively 2 cm along the tandem from the external cervical os), and 2 cm lateral to the tandem. Point A is recorded for all brachytherapy treatments, even those that use image-guided techniques.Point B - Representing the pelvic sidewall/obturator nodes, Point B is located 5 cm lateral to the midline at the same level as point A. It also gives a guide as to the lateral spread of the radiation dose.ICRU Report 38The ICRU released report 38 regarding dosimetry of cervical cancer brachytherapy. It discouraged the use of Point A and Point B.It also recommended that bladder and rectal point doses be included.Bladder Point - After insertion of a Foley catheter, the balloon is inflated with 7 ml of contrast. The catheter is then pulled until the balloon rests against the urethra. The bladder point is the most posterior part of an anteroposterior line drawn through the center of the balloon.Rectal Point - The rectal point is located 5 mm posterior to the posterior vaginal wall, along with a line perpendicular to the midpoint of the activity of the ovoids.The ICRU also recommended reporting of multiple other dose points, including pelvic wall points. These are not commonly reported. The reporting of the dose delivered to the treatment volume was based on the length, width, and depth of the pear-shaped volume generated by the treatment.(Diagnosis and Management of Cancer by Asok Metha,page73)